Prunning of pulmonary arteries is seen in -
1. Pulmonary hypertension
2. Chronic bronchitis
3. Pulmonary infections
4. Pulmonary transplant

Correct answer: 1. Pulmonary hypertension

Explanation: Pulmonary Arterial Hypertension is characterised by enlargement of main pulmonary trunk and Right and Left main pulmonary arteries with dispropoinately small peripheral blood vessels. This is referred to as prunning of pulmonary arteries.. * elevated cardiac apex due to right ventricular hypertrophy * enlarged right atrium * prominent pulmonary outflow tract * enlarged pulmonary arteries * pruning of peripheral pulmonary vessels